There are low many pairs of spinal nerves ?
1. 28
2. 30
3. 31
4. 33

Correct answer: 3. 31

Explanation: Ans. is 'c' i.e., 31Spinal cord gives origin to 31 pairs of spinal nerves -8 cervical pairs12 thoracic pairs5 lumbar pairs5 sacral pairs1 coccygeal pairsThere are 8 cervical nerves (but only 7 cervical vertebrae) because C1 exits between the skull and atlas, while C8 exits through the intervertebral formen between C7 and T1 .